Ballooning of hepatocyte is not associated with?
1. Non alcoholic steatohepatitis
2. Alcoholic liver disease
3. Acute viral hepatitis
4. Chronic viral hepatitis

Correct answer: 4. Chronic viral hepatitis

Explanation: Ans. is 'd' i.e., Chronic viral hepatitis o Ballooning degeneration of hepatocytes is generally considered a form of apoptosis, and is a descriptor used in the context of inflamed fatty liver (steatohepatitis)o Most common cause of ballooning degeneration of hepatocytes is non alcoholic steatohepatitis(NASH).o Other causes include alcoholic fatty liver, acute viral hepatitis & obesity.